'Monitoring of BP' is an example for:-
1. Primordial Prevention
2. Primary Prevention
3. Secondary Prevention
4. Tertiary Prevention

Correct answer: 3. Secondary Prevention

Explanation: - Secondary Level of Prevention is applied when disease has possibly set in. - So, monitoring of BP after hypertension has already set in accounts to secondary level of prevention. Levels of prevention Level Aim Modes Primordial prevention Prevention of emergence of development of risk factors Health education Primary prevention Action taken prior to the onset of disease Health promotion specific protection Secondary prevention Action which halts the progress of a disease Early diagnosis and treatment, screening programmes Tertiary prevention Measures to reduce impairments and disabilities Disability limitation , rehabilitation